Oogonia are derived from :
1. Amnion
2. Yolk sac
3. Stroma of ovary
4. Germinal epithelium

Correct answer: 2. Yolk sac

Explanation: Yolk sac